Inheritence of Familial hypophosphatemic Rickets is
1. Autosomal recessive
2. X-linked dominant
3. X-linked recessive
4. Autosomal dominant

Correct answer: 2. X-linked dominant